Vertical transmission of HIV is most common in
1. 1st trimester
2. 2nd trimester
3. 3rd trimester
4. During labour

Correct answer: 4. During labour

Explanation: Vertical transmission to the neonates is about 14-25% Transmission of HIV2 is less frequent than HIV1 Transplacental transmission 20% before 36 weeks, over 80% occur around the time of labor and delivery Risk of vertical transmission is directly related to maternal viral load and inversely to the maternal immune status Maternal antiretroviral therapy reduces the risk of vertical transmission by 70%. Ref: Dutta Obs 9e pg 282.